Pro-inflammatory  Cytokines include all of the following except -
1. Interleukin 1
2. Interleukin 6
3. Interleukin-10
4. TNF-Alpha

Correct answer: 3. Interleukin-10

Explanation: Cytokines are involved in the immunological reaction, but some cytokines may also take part in inflammation.
o They may be: -
1. Proinflammatory cytokines

Involved in the amplification of inflammation and tissue destruction.
IL-1 & TNF-a are the two most important proinflammatory cytokines. IL-6 may also act as a proinflammatory cytokine.
Other proinflammatory cytokines are IL-2, IL-4, IL-5, IL-6, IL-8, IL-I1, IL-12, IL-15, IL-21, IL-23, IFN-gamma and granulocyte-macrophage colony-stimulating factor (GM-CSF). ( Source Fundamental immunology by William E. Paul).

2 Anti inflammatory cytokines

Reduce inflammation and produce healing,
Example are IL-4, IL-13, IL-1, IL-10